Which of the following vessels have the function of capacitance -
1. Arteriole
2. Capillary
3. Vein
4. Artery-

Correct answer: 3. Vein

Explanation: Ans. is 'c' i.e., Vein Functional classification of vesselsVesselIncludeFeatureElastic ArteriesAorta, pulmonary artery and major branchesElastic recoil maintains continuous blood flow and diastolic arterial pressureConduct (muscular) ArteriesMain arteries e.g., cerebral coronary', popliteal, radialThicker muscle in tunia mediaResistance vesselsSmallest terminal arteries and arterioleso Single layer of muscle in tunica mediao Regulate local blood flow to match local demandsArteriovenousanastomosisShunt vessels (dia 20-135) mmo Connect arteriole to venule bypassing capillaireso Present in skin & nasal mucosao Regulate temperatureExchange vesselsCapillarieso Largest cross section areao Provide O2 and nutrition to tissuesCapacitance vesselsVeinso Store large volumes of blood